Structurally the connexons are:
1. Hexamers
2. Pentamers
3. Tetramers
4. Trimeric proteins

Correct answer: 1. Hexamers

Explanation: A connexon is composed of six integral membrane protein(Hexamers), having subunits called connexins. Ligand-gated ion channels are made up of pentameric proteins. Voltage-gated ion channels are made up of tetrameric proteins. G-protein, ENaC are the examples of trimeric proteins.